Fetal blood loss in abnormal cord insertion is seen in :
1. Vasa previa
2. Placenta previa
3. Battledore placenta
4. Succenturiate placenta

Correct answer: 1. Vasa previa

Explanation: Vasa Previa is usually associated with velamentous insertion when some of the fetal vessels in the membranes cross the region of cervical os and are below the presenting part. Sometimes this can also occur with the succenturiate lobed placenta or with the marginal insertion of cord. This may be the cause for antepartum hemorrhage when with rupture of membranes, tearing of a fetal vessel may lead to fatal bleeding, fetal distress, and fetal death if not delivered immediately. Reference: Mudaliar and Menon's clinical obstetrics,12th edition, page no:30